Eosinophil production is increased by
1. IL-1
2. IL-6
3. IL-5
4. TNF-A

Correct answer: 3. IL-5

Explanation: TH1 cells produce the cytokine IFN-g, which activates macrophages in the classical pathway. TH2 cells secrete IL-4, IL-5, and IL-13, which recruit and activate eosinophils and are responsible for the alternative pathway of macrophage activation TH17 cells secrete IL-17 and other cytokines that induce the secretion of chemokines responsible for recruiting neutrophils and monocytes into the reaction. TNF induces acute inflammation by acting on neutrophils and endothelial cells. ref robbins 9th ed page 55